Diarrhoea is a feature of all the following except:
1. Pellagra
2. Diabetes mellitus
3. Antibiotic therapy
4. Steroids

Correct answer: 4. Steroids

Explanation: Ans: dRef: Harrison, 16thed, p. 405 for a, p. 229 for b p. 228 for c